Maximal level of cardiac output is seen at:
1. 22-26 weeks of pregnancy
2. 26-30 weeks of pregnancy
3. 30-34 weeks of pregnancy
4. 34-38 weeks of pregnancy

Correct answer: 3. 30-34 weeks of pregnancy

Explanation: CARDIAC OUTPUT - Max. at Immediate Post-partum > second stage of Labour > 32 weeks POG